Which of the following has lowest filler loading ?
1. Microfill composite
2. Traditional composite
3. Small particle filled composite
4. Hybrid composite

Correct answer: 1. Microfill composite

Explanation: Because small particle filled composite has highest filler loading.
And higher filler loading increases the mechanical property of composite.